The subtype ofHodgkin's disease, which is histogentically distinct from all the other subtypes, is-
1. Lymphocyte predominant
2. Nodular sclerosis
3. Mixed cellularity
4. Lymphocyte depleted

Correct answer: 1. Lymphocyte predominant

Explanation: Robbins basic pathology 9th edition page no 441, Answer is option 1, lymphocyte predominant hodgekin lymphoma This subtype accounts for about 5%of hodgkin lymphoma is charecterized by the presence of lymphohistiocytic variant RS cellsthat have a delicate multilobed, puffy nucleus resembling popped corn. Other type of reactive cells such as eosinophils, neutrophils, and plasma cells are scanty or absent. It is histogenitically distinct from all the cell types.